Which of the following is seen in hyperemia?
1. Decreased arteriolar blood flow to the tissue
2. Increased arteriolar blood flow to the tissue
3. Increased venous blood flow in the tissue
4. Decrease venous blood flow in the tissue

Correct answer: 2. Increased arteriolar blood flow to the tissue

Explanation: Ans. is 'b' i.e., Increased arteriolar blood flow to the tissue * Hypermia and congestion are the terms used for increased volume of blood within dilated vessels of an organ or tissue.* Hyperemia is an active process resulting from augmented blood flow to tissue because of arteriolar dilatation, at the site of inflammation or in skeletal muscle during exercise.Hyperemia is one of the cardinal sign of inflammation, i.e. redness (rubor) is due to hyperemia.* Congestion is a passive process resulting from impaired venous outflow from a tissue. It occurs in heart failure, portal venous obstruction and other local causes of obstruction. In right heart failure there is hepatic (liver) congestion and in left heart failure there is pulmonary congestion.